Diffuse axonal injury is characterized by lesions at
1. Cerebral cortex
2. Globus pallidus
3. Junction of gray and white matter
4. Medulla

Correct answer: 3. Junction of gray and white matter

Explanation: DAI - lesions at junction of gray & white matter.